A 20-year-old woman with Hirschsprung disease presents with acute leg pain. The patient had a glioma resected 3 years ago. An X-ray film of the leg reveals a fracture of the left tibia. Laboratory studies show elevated serum levels of calcium and PTH. A CT scan of the patient's neck demonstrates a solitary parathyroid mass. Two years later, the patient presents with hypertension, and a CT scan of the abdomen displays a 4-cm mass in the right adrenal. Genetic studies conducted on this patient would likely reveal germline mutations in which of the following protooncogenes?
1. BRCA1
2. Rb
3. RET
4. VHL

Correct answer: 3. RET

Explanation: - Given clinical features suggests the diagnosis of multiple endocrine neoplasia (MEN) syndrome a/w parathyroid adenoma. - Patients with MEN syndromes types 1 & 2 have gene mutations that make them susceptible to neoplasia or hyperplasia in multiple organs. MEN-1 / WERMER SYNDROME MEN-2A / SIPPLE SYNDROME - Mutation of MEN1 - A/W Pituitary adenoma Parathyroid adenoma/ hyperplasia Pancreatic islet cell tumors -Mutation of RET , transmembrane receptor of tyrosine kinase family. -A/W Medullary thyroid cancer Pheochromocytoma Parathyroid adenoma/ hyperplasia - Hirschsprung disease (congenital megacolon) - Neural crest tumors (glioma)